'Cafeteria approach' is related with:
1. Diet program
2. Child and maternal health
3. National vector borne disease control programme
4. Contraception

Correct answer: 4. Contraception

Explanation: Family planning & contraception ''Cafeteria approach'' has new name ''GATHER'' G: Grade the couples A: Ask them their contraception requirement T: Tell them about available methods H: Help them choose best method for them E: Explain R: Returns